Anhedonia is:
1. Abnormal lack of activity
2. Coexistence of two opposing impulses toward the same thing in the same person
3. Disturbance in the understanding or expression of language
4. Inability to experience pleasure from normally pleasurable life events

Correct answer: 4. Inability to experience pleasure from normally pleasurable life events

Explanation: Ans. Inability to experience pleasure from normally pleasurable life events